Adequate steroidogenesis in corpus luteum depends on serum levels of
1. GnRH
2. FSH
3. LH
4. Oestrogen

Correct answer: 3. LH

Explanation: LH levels in serum, determine adequate steroidogenesis in corpus Luteum.